A 11-month-old child came for vaccination. He had received Polio vaccine & BCG at birth. What vaccines should be given to him now?
1. BCG, OPV, Hep B
2. Measles, DPT, OPV, Hib, Hep B
3. DPT, OPV, Hib, Hep B
4. DPT, OPV, Hep B

Correct answer: 2. Measles, DPT, OPV, Hib, Hep B

Explanation: b. Measles, DPT, OPV, Hib, Hep B(Ref: Nelson's 20/e p 1546-1548, Ghai 8/e p 195, IAP 115)All the above vaccines should be given for catch up immunization now.